Major apolipoprotein of chylomicrons ?
1. B-100
2. D
3. B-48
4. None

Correct answer: 3. B-48

Explanation: Ans. is 'c' i.e., B-48